Concentrating ability of kidney is lost by damage to?
1. Glomerulus
2. Loop of Henle & collecting duct
3. Macula densa
4. Renal Pelvis

Correct answer: 2. Loop of Henle & collecting duct

Explanation: Ans. b (Loop of Henle & collecting duct). (Ref. Ganong, Physiology, 21st/pg.721)NEPHRONS# Proximal convoluted tubule-- reabsorbs all of the glucose, inorganic phosphate, Cl, lactate and amino acids and most of the bicarbonate, sodium, and water. Secretes ammonia, which acts as a buffer for secreted W+.QThin descending loop of Henle--passively reabsorbs water via medullary hypertonicity (impermeable to sodium). Thick ascending loop of Henle--actively reabsorbs Na+, Mg2+ and Ca2+, impermeable to H2O, H+: and K+ extrusion occurs.# Glomerulus does the fuction of filtering.# Macula densa secretes renin# Renal pelvis one of the part of PC system that collects urine.